Which of the morphological form of Leishmanla donovani is seen in man ?
1. Promastigote
2. Trypomastigote
3. Amastigote
4. Epimastigote

Correct answer: 3. Amastigote

Explanation: Flagellar promastigotes are introduced by the feeding female sandfly.The promastigotes are taken by neutrophils which undergo apoptosis & are then engulfed by macrophages in which the parasites transform into amastigote. Reference Harrison20th edition pg 1134